Plasmid -a)  Involved in multidrug resistace transferb)  Involved in conjugationc)  Imparts capsule formationd)  Imparts pili formation
1. acd
2. bcd
3. abd
4. ab

Correct answer: 3. abd